All of the following pharmacological agents may be used for reducing risk of contrast nephropathy, except:
1. Fenoldopam
2. N-Acetylcysteine
3. Prostaglandins
4. Furosemide

Correct answer: 4. Furosemide

Explanation: Answer is D (Furosemide): Use of Furosemide may be potentially detrimental in patients with Contrast Induced Nephropathy (CIN) and is not recommended. The CIN Consensus Working Panel : Summary: Conclusion Positive results (Potentially beneficial) Theophylline/aminophvIline Statins Ascorbic acid Prostaglandin El Neutral results (No consistent effect) N-acetylcysteine (NAC) Fenoldopam Dopamine Calcium channel blockers Amlodipine Felodipine Nifedipine Nitrendipine Atrial natriuretic peptide L-Arginine Negative results (Potentially detrimental) Furosemide Mannitol Endothelin receptor antagonist Taken front: Strategies to Reduce the Risk of contrast-Induced Nephropathy: The CIN Consensus Working Panel